Which of the following does not dependent on insulin via GLUT4 for glucose uptake-
1. Brain
2. Skeletal muscles
3. Cardiac muscles
4. Adipose tissue

Correct answer: 1. Brain

Explanation: Ans. is 'a' i.e., Brain FunctionMajor sites of expressiono GLUT lBasal glucose uptakePlacenta, Blood-brain barrier, brain, RBC, Kidney, colono GLUT 2B-cell glucose sensorQ.Transport out of intestinal and renal epithelial cellsB cells of islets, liver, epithelial cells of small intestine & KidneyoGLUT3Basal glucose uptakeBrain, Placenta, Kidneyo GLUT4QInsulin-stimulating glucose uptakeQSkeletal and cardiac muscleQ. Adipose tissueo GLUTSQFructose transportQJejunum, spermo GLUT 6NonePseudogeneo GLUT 7G-6-P transporter in ERLiver